Bezold ' s abscess is located in -
1. Submandibular region
2. Sternocleidomastoid
3. Digastric triangle
4. Infratemporal region

Correct answer: 2. Sternocleidomastoid

Explanation: Ans. is 'b' i.e., Sternomastoid muscle